Most common site for secondary metastasis in a case of Hypemephroma:
1. Adrenal
2. Lungs
3. Brain
4. Bones

Correct answer: 2. Lungs

Explanation: Answer is B (Lungs) 'The most common site of distant metastasis (in RCC) is the lung'